True about hydatid cyst of liver -a) Caused by E. granulosusb) In 80% cases cyst is singlec) Blood culture helpfuld) Surgery is the only treatment.
1. ac
2. a
3. ad
4. ab

Correct answer: 4. ab